All of the following can cause a white pupillary reflex except –
1. Retinoblastoma
2. Cataract
3. Retrolental fibroplasias
4. Glaucoma

Correct answer: 4. Glaucoma

Explanation: Conditions causing leukocoria (Pseudoglioma)
Hereditary conditions :- Norrie's disease, congenital retinoschisis, Incontinetia pigmenti, dominant exudative vitreoretinopathy.
Developmental :- Persistent hyperplastic primary vitreous (PHPV), congenital cataract, cloboma, retinal dysplasia, congenital retinal fold, myelinated nerve fibres, morning glory syndrome, congenital corneal opacity.
Inflammatory :- Ocular toxocariasis, congenital toxoplasmosis, congenital CMV retinitis, HSV retinitis, Peripheral uveoretinitis, endophthalmitis, orbital cellulitis.
Tumors :- Retinal astrocytic hamartoma, Medulloepithelioma, Glioneuroma, Choroidal hemangioma, Leukemia. Miscellaneous :- Coat's disease, Retinopathy of prematurity (Retrolental fibroplasia), Rheugmatogenous RD, Vitreous hemorrhage, perforating ocular injury.